Second most common neoplasm seen in children is
1. Lyphoma
2. Brain tumor
3. Wilm's tumor
4. Neuroblastoma

Correct answer: 2. Brain tumor

Explanation: Also called low-grade gliomas, these are the most common brain tumors in children. Medulloblastomas are the most common type of childhood brain cancer. Most medulloblastomas occur before age 10. Ependymomas are a type of childhood brain tumor that can be benign (noncancerous) or malignant (cancerous). The most common cancers of children are: Leukemia. Brain and spinal cord tumors. Neuroblastoma. Wilms tumor. Lymphoma (including both Hodgkin and non-Hodgkin) Rhabdomyosarcoma. Retinoblastoma. Bone cancer (including osteosarcoma and Ewing sarcoma) Reference: GHAI Essential pediatrics, 8th edition